All of the following are true about  ACE inhibitors except
1. Drug of choice for hypertension in Diabetes Mellites and chronic kidney disease
2. They are contraindicated in Bilateral Renal Artery stenosis
3. Fosinopril is safe in renal failure
4. Captopril & lisinopril are pro drugs

Correct answer: 4. Captopril & lisinopril are pro drugs

Explanation: Captopril and lisinopril are the only ACE inhibitors which are not pro drugs.